Which of the following vaccine should not be given during pregnancy ?-
1. HBV
2. Measles, mumps, rubella
3. Typhoid
4. Cholera

Correct answer: 2. Measles, mumps, rubella